Immunity may be natural or acquired. Which of the following best describes acquired immunity?
1. Increase in C-reactive protein (CRP)
2. Presence of natural killer (NK) cells
3. Complement cascade
4. Maternal transfer of antibody

Correct answer: 4. Maternal transfer of antibody

Explanation: Natural immunity is nonspecific. The description of natural immune functions described are not specific for a certain antigen. For example, certain proteins such as C-reactive protein (CRP) are acute-phase reactants. While elevated CRP is seen in infection, it is not disease-specific. Maternal transfer of antibody, however, is passive but still confers specific immunity. It is termed acquired immunity.